What percentage of weight loss in infants constitutes severe dehydration?
1. >10% loss of body weight
2. > 6%' loss of body weight
3. 5%' loss of body weight
4. 7% loss of body weight

Correct answer: 1. >10% loss of body weight

Explanation: Ans: A (> 10% loss of body weight) Ref: Nelson s Textbook of Pediatrics. 19th Edition, Chapter on 'Deficit Therapy'. Page 245Explanation:In an older child with diarrhea, 6% loss of body weight amounts to Severe dehydration whereas 10% loss of body weight is required to cause the same in infants (Ref: Nelson).CLINICAL EVALUATION OF DEHYDRATIONMild dehydration (<5% in an infant: <3% in an older child or adult):Normal or increased pulseDecreased urine outputThirstyNormal physical findingsModerate dehydration (5-10% in an infant: 3- 6% in an older child or adult):TachycardiaLittle or no urine output: Irritable/lethargieSunken eyes and fontanelDecreased tearsDry mucous membranesMild delay in elasticity (skin turgor)Delayed capillary refill (>1.5 sec)Cool and paleSevere dehydration (>10% in an infant; >6% in an older child or adult):Peripheral pulses either rapid and weak or absentDecreased blood pressureNo urine outputVery sunken eyes and fontanelNo tearsParched mucous membranesDelayed elasticity (poor skin turgor)Very delayed capillary refill (>3 see)Cold and mottledLimp, depressed consciousness